Onion - peel appearance is seen in -
1. Ewing's sarcoma
2. Osteoma
3. Osteosarcoma
4. Osteoclastoma

Correct answer: 1. Ewing's sarcoma

Explanation: Onion peel periosteal reaction is seen in Ewings sarcoma.